The following vaccines can be given to an immunocompromised child except-
1. Recombinant
2. Subunit
3. Live attenuated
4. Killed

Correct answer: 3. Live attenuated

Explanation: Live attenuated vaccines are prepared from live organisms, which will cause adverse effects if administered to an immunocompromised individual. Ref: 25th edition, Park's Textbook of Preventive and Social Medicine, Page no. 111